Commonest cause of ectopic pregnancy is :
1. Endometriosis
2. Previous salpingitis
3. Anemia
4. Cervicitis

Correct answer: 2. Previous salpingitis

Explanation: Previous salpingitis